The pale infarct is seen in all except
1. Spleen
2. Kidney
3. Lung
4. Heart

Correct answer: 3. Lung

Explanation: FeaturesRed infarctsWhite infarctsCause Arterial occlusion in loose tissues or organ having a dual blood supplyVenous occlusion Arterial occlusions in solid organs with end arterial circulation Affected organs Lung and small intestine Solid organs (heart, spleen, kidney )PropertiesIll-defined hemorrhagic margins which change in color to brown Well defined margins and progressively paler with time Edema Usually present Usually absent (Refer: Robbins & Cotran's - Pathologic Basis of Disease, SAE, 1st edition, Vol II-pg no: 129-130)